The sequestrated lobe of the lung is commonly supplied by-
1. Pulmonary artery
2. Intercostal artery
3. Descending aorta
4. Bronchial artery

Correct answer: 3. Descending aorta

Explanation: Pulmonary sequestration

Pulmonary sequestration refers to the presence of a discrete mass of lung tissue without any normal connection to the airway system.
Blood supply to the sequestered area arises not from the pulmonary arteries but from the aorta or its branches.
Sequestration may be of two types -
Extralobar sequestration → Sequestrations are external to the lung and may be found anywhere in the thorax or mediastinum. Most commonly they are associated with other congenital anomalies.
Intralobar sequestration → Found within the lung substance and are usually associated with recurrent localized infection or bronchiectasis.